Hirschberg test measures:
1. Cataract
2. Strabismus
3. Refractive error
4. Glaucoma

Correct answer: 2. Strabismus

Explanation: Hirschberg test (for Tropias or manifest squint) Flash a torch at the forehead (Glabella) of patient, ask the patient to look at the light Ohophoric- Reflection of light is exactly at the center of the pupil Heterophoric- Reflection of light is not at the center of the pupil